Hampton's line is feature of
1. Benign ulcers
2. Malignant ulcers
3. Both
4. None of the above

Correct answer: 1. Benign ulcers

Explanation: 'Hampton's line' :- - is thin radiolucent line seen at the neck of a gastric ulcer in barium studies - it is seen in benign gastric ulcer - it's caused by thin line of mucosa overhaning ulcer's crater Hampton's line Carman Meniscus sign - (in Malignant gastric ulcer) Duodenal ulcer: - is associated with increased acid secretion caused by higher incidence of H.Pylori infection - duodenum is often deformed along its inferior margin - chronic gastric ulcer gives Trifoliate appearance